Uncommon finding in congestive cardiac failure in new born -
1. Tachycardia
2. Tachypnoea
3. Hepatomegaly
4. Pedal edema

Correct answer: 4. Pedal edema

Explanation: Ans. is 'd' i.e., Pedal edema Edema of the feet occurs late.